Central part of cholesteatoma contains ?
1. Keratin debris
2. Keratinized squamous epithelium
3. Coulmnar epithelium
4. Fibroblasts

Correct answer: 1. Keratin debris

Explanation: Ans. is 'a' i.e., Keratin debris Cholesteatoma Destructive or expanding growth in the middle ear or mastoid process The term cholesteatoma is a misnomer, because it neither contains cholesterol crystals nor is it a tumor to merit the suffix `oma'. Cholesteatoma has the property to destroy bone. It may cause destruction of ear ossicles, erosion of bony labyrinth, canal of facial nerve, sinus plate or tegmen tympani and thus cause several complications. Bone destruction by cholesteatoma has been attributed to various proteolytic enzymes liberated by osteoclasts and mononuclear inflammatory cells, seen in association with cholesteatoma. Cholesteatoma consists of two parts : ? i) Matrix : - Made up of keratinizing squamous epithelium. ii) Keratin debris (central white mass) : - Produced by the matrix. Therefore, cholesteatoma also referred to as epidermosisor keratoma.